What does NORA stands for in anesthesia:-
1. No oral airway
2. Non-operative room anesthesia
3. No radiation risk associated
4. None of the above

Correct answer: 2. Non-operative room anesthesia

Explanation: NORA refers to anesthesia that is provided at locations remote from operating room like endoscopy suits. NORA - Non operating Room Anaesthesia